The left testicular vein drains into which of the following veins?
1. Left internal iliac vein
2. Left common iliac vein
3. Inferior vena cava
4. Left renal vein

Correct answer: 4. Left renal vein

Explanation: The left testicular vein drains into the left renal vein. The right testicular vein drains directly into the inferior vena cava. This difference in venous drainage is believed to explain the greater incidence of varicocele on the left side than on the right. The venous drainage from the penis is to the internal vein, which then drains into the internal iliac vein.